All are causes of Pseudo Pneumo peritoneum except
1. Subdiaphragmatic fat
2. Laproscopy
3. Chilaiditis syndrome
4. Subphrenic abscess

Correct answer: 2. Laproscopy

Explanation: Laproscopy is a cause of Pneumo peritoneum. Rest are common of Pseudo Pneumo peritoneum.